Waters projection is useful for evaluating
1. Frontal and ethmoidal sinuses
2. Zygomaticofrontal suture and nasal cavity
3. Maxillary sinuses
4. All of the above

Correct answer: 4. All of the above

Explanation: Waters view, is optimal for visualization of the maxillary sinus, especially to compare internal radiopacities, as well as the frontal sinuses and ethmoidal air cells, when the mouth is open. The sphenoidal sinus is also seen. This view shows the roof, medial walls and allows the comparison of both the maxillary sinuses.